Choose the false statement regarding proteoglycans:
1. Chondroitin sulfate is a Proteoglycan
2. They hold less amount of water
3. They are made up of sugar and aminoacids
4. They carry charge

Correct answer: 2. They hold less amount of water

Explanation: Since the high fixed negative charge density of the proteoglycans allows them tohold enormous amounts of water. The amount of water depends on the amount of proteoglycans, which decreases with aging. Ref: Harper's Illustrated Biochemistry 27th Edition, Page 118, 556, 557; Functions of the Proteoglycans By Ciba Foundation Symposium, 2008, Page 143.